A 17-year-old boy comes to the physician for a routine examination. He reveals that he wants to kill his girlfriend because she cheated on him. He also states that he intends to buy a gun for personal protection.  Who is the treating physician required to contact?
1. Another physician who knows the girl
2. Another physician who knows the patient
3. Law enforcement authorities and/or the girl
4. Law enforcement authorities only

Correct answer: 3. Law enforcement authorities and/or the girl